Axicabtagene ciloleucel is used in:
1. Relapsed myeloma
2. T cell lymphoma
3. Diffuse large B cell lymphoma
4. Small cell lung Ca

Correct answer: 3. Diffuse large B cell lymphoma

Explanation: CAR T-cell therapy:- A type of treatment in which a patients T cell are changed in laboratory so they will bind to cancer cells and kill them.Blood from a vein in Patient's arm flow through a tube to an apheresis machine, which removes the T cell and sends rest of blood back to the patient. CAR T cell are grown in the lab. The CAR T cell are able to bind to antigen on cancer cell and kill them. There are 2 FDA approved CAR T cell therapies:- Axicabtagene ciloleucel- Tisagenlecleucel Axicabtagene ciloleucel is use for diffuse large B cell lymphoma